Cilastatin is given along with :
1. Imipenem
2. Amoxicillin
3. Erythromycin
4. Ampicillin

Correct answer: 1. Imipenem